Heamorrhagic external otitis media is caused by:
1. Influenza
2. Proteus
3. Staphylococcus
4. Streptococcus

Correct answer: 1. Influenza

Explanation: Hemorrhagic external otitis media: (Otitis externa hemorrhagia) is caused by influenza virus. Characterised by formation of haemorrhagic bullae on tympanic membrane. Clinical features: severe pain and blood stained discharge. Treatment: Analgesics + antibiotics.